FSH, LH, TSH acts through
1. Cyclic AMP
2. Cyclic GMP
3. Adenosine cyclate
4. Calcium release

Correct answer: 1. Cyclic AMP